Petechial hemorrhages were noticed on the upper and lower extremities of a 5-day-old infant. Hemorrhagic disease of the neonate was most likely caused by a deficiency of which of the following vitamins?
1. Vitamin B2 (riboflavin)
2. Vitamin D
3. Folic acid
4. Vitamin K

Correct answer: 4. Vitamin K

Explanation: Hemorrhagic disease of the new-born may be caused by a deficiency of vitamin K. Vitamin K is an important coagulation factor, which is necessary for the carboxylation and activation of prothrombin, as well as of clotting factors VII, IX, and X. Newborn infants frequently exhibit vitamin K deficiency because the vitamin is not transported well across the placenta, and the sterile gut of the new-born does not have bacteria to produce it. The other vitamin deficiencies do not impair coagulation.Diagnosis: Vitamin K deficiency, hemolytic disease of the newborn